Sweet technique is:
1. Multi visit formocresol pulpotomy.
2. Single sitting formocresol pulpotomy.
3. Partial pulpotomy.
4. None.

Correct answer: 1. Multi visit formocresol pulpotomy.